Rituximab is a monoclonal antibody used for treatment of:-
1. Non-Hodgkin's lymphoma
2. Gastrointestinal Stromal Tumors
3. Chronic Myeloid Leukemia
4. Acute Myeloid Leukemia

Correct answer: 1. Non-Hodgkin's lymphoma

Explanation: Rituximab is a monoclonal antibody against CD20. It is used for treatment of: Non-Hodgkin lymphoma Chronic lymphoid leukemia Rheumatoid arthritis SLE Auto-immune hemolytic anemia Idiopathic thrombocytopenic purpura